Osteogenesis imperfecta (OI) may present similarly to child maltreatment. However, there are features of OI that may help differentiate the 2, including blue sclera and osteopenia. Which of the following is another distinguishing feature
1. Multiple fractures in the setting of minimal trauma
2. Dental involvement
3. Patent foramen ovale
4. Polydactyly

Correct answer: 2. Dental involvement

Explanation: Multiple medical conditions can present similarly to nonaccidental trauma, including OI. This autosomal dominant genetic disease often presents with multiple fractures in the setting of minimal trauma. However, distinguishing features include osteopenia, blue sclera, family history, and dental involvement. Polydactyly and a patent foramen ovale are not typical features of OI.